BMI is measured in children by:
1. Wt.kg/Ht.m2
2. Wt.kg/Ht.cm2
3. Wt.gm/Ht.cm2
4. Wt.gm/Ht.m2

Correct answer: 1. Wt.kg/Ht.m2

Explanation: Ans. (a) Wt.kg/Ht.m2Ref.-.Nelson 18th ed., chapter 44Also note that the way we diagnose obesity in children is different from adultsBMI PERCENTILE FOR AGEWEIGHT STATUS<5th percentileUnderweight5th-84th percentileNormal weight85th-94th percentileAt risk for overweight>95th percentileOverweightThe obesity guidelines for adults areBMI (kg/m2)WEIGHT STATUS<18.5Underweight18.5-24.9Normal weight25-29.9Overweight30-34.9Obese35-39.9Moderately obese40-49.9Morbid obesity>50Super morbid obesity